The role of vitamin K in epoxide cycle is
1. Carboxylation of glucatamate
2. Dehydrogenation of glucatamate
3. Carboxylation of glutamate
4. Dehydrogenation of aspartate

Correct answer: 3. Carboxylation of glutamate

Explanation: Carboxylation of glutamate is the role of VitK in epoxide cycle. Vitamin K is necessary for coagulation. Factors dependent on vitamin K are Factor II (prothrombin); Factor VII (SPCA); Factor IX (Christmas factor); Factor X (Stuart Prower factor) All these factors are synthesized by the liver as inactive zymogens. They undergo post-translational modification; gamma-carboxylation of glutamic acid residues. These are the binding sites for calcium ions. The gamma-carboxy glutamic acid (GCG) synthesis requires vitamin K as a co-factor Ref: DM Vasudevan - Textbook of Biochemistry, 8th edition, page no: 462 image satyanarayana 4th ed page 131